All are true of colostrum except
1. Rich in fat
2. Secreted for first few days
3. Rich in protein and minerals
4. Rich in anti-infective factors

Correct answer: 1. Rich in fat

Explanation: Human colostrum is low in fat, and high in carbohydrates, protein and antibodies (IgA). Secreted in late pregnancy and first few days. Ref : Park 23rd edition Pgno : 533